A 41 year old male presents with a weak flexor pollicis longus and flexor digitorum profundus of the index finger. The nerve inxolved could be -
1. Ulnar nerve
2. Median nerve
3. Posterior interosseus nerve
4. Radial nerve

Correct answer: 2. Median nerve

Explanation: Ans. is 'b' i.e., Median nerve * The various muscles supplied by median nerve are : -1) In the forearm# All the flexor muscles of the forearm, except the flexor carpi ulnaris and the medial half of flexor digitorum profundus to the ulnar two fingers.These muscles are: -i) Pronater teresiv) Flexor digitorum superficialvii) Pronator quadratusii) Flexor carpi radialisv) Flexor digitorum profundus (lateral half) iii) Palmaris longusvi) Flexor pollicis longus * Note: FDP (lateral half, pronator quadratus) and FPL are muscles of deep compartment of forearm, and are supplied by anterior interosseus branch of median nerve. Other muscles are supplied directly by median nerve.2) In hand# Median nerve supplies: -i) Thenar muscles (except adductor pollicis): - Flexor pollicis brevis, opponens pollicis and abductor pollicis brevis. Adductor pollicis is supplied by ulnar nerve.ii) First two lumbricals* Sensory supply by medial nerve is: -i). Lateral two thirds of palmii) Lateral three & half fingers on palmar side and distal phalanx of lateral three & half digits on dorsal side.